A 35 year old female with a previous history of birth of a child with Down's syndrome, presents with 18 weeks Amenorrhoea. The Investigation of choice rule out Down's syndrome in the present pregnancy is:
1. Triple test
2. Amniocentesis
3. Cordocentesis
4. Chorionic villous biopsy

Correct answer: 2. Amniocentesis

Explanation: The Answer is B (Amniocentesis) : At 18 weeks of pregnancy the best confirmatory test available is amniocentesis 'Triple test only gives a risk ratio. For confirmation of diagnosis, amniocentesis has to be done' - Dutta